Vitamin required for bone formation as well as coagulation cascade is:
1. A
2. D
3. E
4. K

Correct answer: 4. K

Explanation: Vitamin K is the cofactor for g-carboxylation of glutamate residues of protein to produce g-carboxy glutamate (gla). This process is known as Vitamin K epoxide cycle. Clotting factors contain 4 to 6 g-carboxyglutamate residues:- Eg- II VII IX X Protein C Protein S Protein Z Osteocalcin Transthyretin (Prealbumin)